Superantigens true is -
1. They bind to the left of the MHC
2. Needs to processed before presentation
3. They are presented by APC'S to T cells
4. Directly attached to lateral aspect of TCR b chain

Correct answer: 4. Directly attached to lateral aspect of TCR b chain

Explanation: Superantigens are a class of antigens that cause non-specific activation of T-cells resulting in polyclonal T cell activation and massive cytokine release. Superantigens bind first to the MHC Class II and then coordinate to the variable alpha or beta chain of T-cell Receptors . Reff: Ananthanarayan & Panikers textbook of microbiology 9th edition pg:90